"Safe strategy" has been developed for the control of:
1. Conjunctivitis
2. Trachoma
3. Refractive error
4. Ocular trauma

Correct answer: 2. Trachoma

Explanation: Ans. Trachoma